Viterous humor is preserved in
1. Formalin
2. Xylol
3. HCl
4. Fluoride

Correct answer: 4. Fluoride

Explanation: PRESERVATIVES: (1) Saturated sodium chloride solution, except in poisoning from corrosive aicds, alkalis, corrosive sublimate, and aconite. (2) Rectified spirit, except in cases of suspected poisoning by (a) alcohol, kerosene, (b) chloroform, ether, (c) chloral hydrate, (d) formic acid, (e) formaldehyde, acetic acid, (f) phenol,(g) phosphorus, and (h) paraldehyde, because the organic acids and paraldehyde are soluble in alcohol and the phosphorescence of phosphorus is diminished by alcohol. (3) Ten. mg./ml of sodium or potassium fluoride. (prevents glycolysis, inhibits enzyme enolase and inhibits bacteial growth) and 3 mg. potassium oxalate (anti-coagulant) should be used for preserving blood. Fluoride should also be added to urine, CSF, and vitreous humour if alcohol estimation is required, and also to samples for analysis for cocaine, cyanide and Co. In poisoning by oxalic acid, ethyleneglycol, fluoride and CO, 30 mg. sodium citrate should be added for 10 ml of blood as preservative. One ml of concentrated hydrochloric acid or 100 mg. of thymol or 100 mg. of sodium fluoride can be used for 10 ml urine as a preservative. Toluene is better. Ref:- k s narayan reddy; pg num:-124